The number of new cases occuring in a defind population during a specified period of time is called
1. Period prevalence
2. Point prevalence
3. Prevalence
4. Incidence

Correct answer: 4. Incidence

Explanation: Incidence is defined as the number of new cases occurring in a defined population during a specified period of time.incidence rate refers only to new cases,during a given period and also in a specified population or population at risk.ref:parks textbook of preventive and social medicine,22 nd edition,pg no 58